You are conducting a study on a new type of infectious disease and find that the case fatality rate is high. It means that:
1. The disease is highly infective
2. The disease has a short incubation period
3. The disease is caused by a virulent organism
4. All the above

Correct answer: 3. The disease is caused by a virulent organism

Explanation: Case fatality rate = Total number of deaths due to a particular disease/Total number of cases of the same disease It is a measure of the killing power of a disease and is closely related to the virulence. Ref: Park, Edition 21, Page - 54.